In semen banks, semen is preserved at low temperature using which cryo protectant:-
1. Dry ice
2. Glycerol
3. Liquid nitrogen
4. Liquid oxygen

Correct answer: 2. Glycerol

Explanation: Preservation of semen :- The most common cryoprotectant used for semen is glycerol (10% in culture medium). Cryoprotectant media may be supplemented with either egg yolk or soy lecithin Liquid Nitrogen is the medium in which these 'Cassettes' containing' sperms and cryoprotectants' are stored in. Cryopreservation of sperms,ova and embryos is one big step in the field of infertility. It avoids repeated aspiration . It also permits donation of eggs as well as of sperms to couples whose husband is azoospermic or wife is in capable of ovulation.